If a  biochemical  test  gives  the  same  reading  for  a  sample  on  repeated testing, it is inferred that the measurement is:
1. Precise
2. Accurate
3. Specific
4. Sensitive

Correct answer: 1. Precise

Explanation: Criteria of screening test

Acceptability – The test should be acceptable to population to which it is going to be applied.
Repeatability  (reliability, precision, reproducibility)  –  The test must give consistent results when repeated more than once on the same individual or material under the same condition.
Validity (accuracy) – It refers to what extent the test accurately measures which it purports to measure. (it means it expresses the ability of a test to separate or distinguish those who have the disease from those who do not). Accuracy refers to closeness with which measured values agree with “true” value.

It has two components:
i. Sensitivity – Ability of test of identify correctly all those who have disease.
ii. Specificity – Ability to test to identify correctly all those who do not have disease. 
So, if test gives the same reading for a sample on repeated testing means test is precise (i.e., reliable, reproducible, repeatable).